The part most commonly involved in Otosclerosis is:
1. Oval window
2. Round window
3. Tympanic membrane
4. Malleus

Correct answer: 1. Oval window

Explanation: Oval window